Vanishing tumor is seen in
1. Liver
2. Lung
3. Bone
4. Heart

Correct answer: 2. Lung

Explanation: Answer- B. LungAccumulation of fluid in the interlobar spaces of the lung (as a result of CHF) appears as a neoplasm on a radiograph.It is called as Phantom tumor or pseudotumor or vanishing tumor.